Feature of slow filter (w.r.t. fast filter) is/are : a) Occupies less spaceb) Highly skilled operationc) Poor bacterial qualityd) Takes more time for purificatione) Size of sand is smaller
1. de
2. bc
3. cd
4. bd

Correct answer: 1. de

Explanation: Slow sand filter occupies large area (more space).
Slow and filter requires less skilled operation.
Slow sand filter removes more bacteria and has better bacterial control (99.9-99.99%)
Slow sand filter requires longer duration for purification.
Size of sand is smaller (0.2-0.3 mm).